"Smudge cells" in the peripheral smear are characteristic of
1. Chronic myelogenous leukemia
2. Chronic lymphocytic leukemia
3. Acute myelogenous leukemia
4. Acute lymphoblastic leukemia

Correct answer: 2. Chronic lymphocytic leukemia

Explanation: Ans. (b) Chronic lymphocytic leukemia(Ref: Robbins 9th/pg 593; 8th/pg 603)"Smudge cells"Also called 'Basket cells', 'shadow cells of Gumprecht'Caused by decrease in VimentinMay predict good prognosisSeen mainly in CLL; Also have been reported in AML, CML, ALL & in normal peripheral smear, but rare;